In gingival bleeding index given by Ainamo and Bay, positive score is taken at what time after appearance of bleeding on probing?
1. 10 Sec.
2. 20 Sec.
3. 30 Sec.
4. 40 Sec

Correct answer: 1. 10 Sec.